Which of the following is related with 'Thanatology' in forensic medicine?
1. Snakes
2. Poison
3. Death
4. Fingerprints

Correct answer: 3. Death

Explanation: Thanatology deals with death in all its aspects. The word "death" denotes the death of a human being. S.46, I.P.C.: Death denotes death of a human being unless the contrary appears from the context. Ref: The Essentials of Forensic Medicine and Toxicology by Dr. K. S. Narayan Reddy, 27th edition, Page 119.